In modified rapid sequence induction (RSI) which is neuromuscular blocker of choice:-
1. Rocuronium
2. Vecuronium
3. Rapacuronium
4. Atracurium

Correct answer: 1. Rocuronium

Explanation: Rocuronium is fastest acting clinically available non depolarizing Neuro Muscular Blocker. Thus can replace succinyl choline for modified RSI. For rapid sequence induction we need fast acting neuromuscular blocker so that we achieve intubating condition early.